Electric alternans is seen in
1. Cardiac tamponade
2. Restrictive cardiomyopathy
3. Constrictive pericarditis
4. Right ventricular infract

Correct answer: 1. Cardiac tamponade

Explanation: Rrf Harrison 19 th ed pg 1573 There may be reduction in ampli- tude of the QRS complexes, and electrical alternans of the P, QRS, or T waves should raise the suspicion of cardiac tamponade . the features that distinguish acute cardiac tampon- ade from constrictive pericarditis.